Cisapride was withdrawn from market due to?
1. QT Prolongation
2. Increased PR interval
3. Teratogenicity
4. Myocardial damage

Correct answer: 1. QT Prolongation

Explanation: ANSWER: (A) QT ProlongationREF: Lippincott's 4th ed ch: 17See previous question for list of drugs causing QT prolongationInhibition of potassium channels widens the action potential, leading to a prolonged QT interval on the electrocardiogram. Such an effect is associated with increased risk of developing life-threatening ventricular tachyarrhythmias (torsades de pointes). The most common cause of QT prolongation is drug-induced, although it may also be genetic.